Facilitation of flexor muscle tone is by
1. Vestibulospinal tract
2. Tectospinal tract
3. Rubrospinal tract
4. Reticulospinal tract

Correct answer: 3. Rubrospinal tract

Explanation: Rubrospinal tract facilitates flexor muscle and inhibits extensor muscles.
Vestibulospinal tract facilitates extensor muscle of lower limb and inhibits flexors.